Which of the following class of drugs is a precipitant of acute asthma?
1. Beta–adrenergic receptor agonists
2. NSAIDs
3. Calcium channel blockers
4. H1 blockers

Correct answer: 2. NSAIDs